Which one of the following preferentially activates plasminogen bound to fibrin and avoids the systemic lytic state -
1. Streptokinase
2. Aminocaproic acid
3. Tranexamic acid
4. Alteplase

Correct answer: 4. Alteplase

Explanation: Ans. is 'd' i.e., Alteplase o Alteplase, Reteplase and tenecteplase are recombinant t-PA. These are nonantigenic. They activate fibrin bound plasminogen only. o Streptokinase activates both free as well as fibrin bound plasminogen.